The site where myosin heads to action in skeletal muscles are covered by
1. Tropomyosin
2. Troponin o
3. Calcium
4. None of the above

Correct answer: 1. Tropomyosin

Explanation: In resting muscle, troponin I is bound to actin and tropomyosin covers the site where myosin head interacts with actin. Ref: Ganong's Review of medical physiology;25th edition; pg: 104.